Which one of the following is not a component of THORACOSCORE?
1. Performance status
2. Complication of surgery
3. ASA grading
4. Priority of surgery

Correct answer: 2. Complication of surgery

Explanation: Thoracoscore Most used model to assess risk of operative mortality in thoracic patients. Risk is calculated based on nine variables - Age Sex American Society of Anesthesiologists (ASA) score (<=2, >=3) Performance status according to Zubrod scale(<=2, >=3) Dyspnoea score according to MMRC scale (<=2, >=3) Priority of surgery ( Elective, urgent/emergency) Extent of surgery (Pneumonectomy, other) Malignant diagnosis ( Malignant, Benign) Composite comorbidity score